Epsilon wave is seen in
1. Hypothermia
2. WPW syndrome
3. Brugada syndrome
4. Arrhythmogenic right ventricular dysplasia

Correct answer: 4. Arrhythmogenic right ventricular dysplasia